Nerve supply of adductor pollicis is by -
1. Ulnar nerve
2. Median nerve
3. Radial nerve
4. Musculocutaneous nerve

Correct answer: 1. Ulnar nerve

Explanation: Deep branch of Ulnar nerve supplies Adductor pollicis, interossei and medial two lumbricals